Longest acting cephalosporin:
1. Ceftriaxone
2. Ceftazidime
3. Cefoperazone
4. Cefotaxime

Correct answer: 1. Ceftriaxone

Explanation: Ans: a (Ceftriaxone) Ref: Tripathi, 6th ed, p. 706 10th ed, p. 735- Ceftriaxone has a long duration of action with half life of 8 hrs- Ceftazidime has half life of 1.5-1.8 hrs- Cefaperazone has half life of 2 hrs- Cefotaxime has half life of 1 hrFirst-generation cephalosporinsThird- generation cephalosporinsCefadroxil (PO)Cefotaxime (IV)Cephalexin (PO) Cephradine (PO)Ceftazidime (IV)Cefazolin (IV)Ceftriaxone (IV) Ceftizoxime (IV) Cefoperazone (PO)Second-generation cephalosporinsCefixime (PO)Cefoxitin (IV)Cefpodoxime proxetil (PO)Cefotetan (IV)Cefdinir (PO)Cefuroxime (TV)Ceftamet pivoxil (PO)Cefuroxime axetil (PO) Fourth-generation cephalosporins Cefepime (IV) Cefpirome (IV)Cephalosporins are not active against enterococci and L monocytogenes.Cefazolin penetrates well into most tissues. It is a drug of choice for surgical prophylaxisCeftriaxone and cefotaxime are the most active cephalosporins against penicillin-resistant strains of pneumococci and are recommended for empirical therapy of serious infections that may be caused by these strains.Cephalosporins that contain a methylthiotetrazole group (e.g., cefamandole, cefmetazole, cefotetan, cefoperazone) frequently cause hypoprothrombinemia and bleeding disorders